Rains factor is used for measurement of blood loss in operations or minor procedures . It is
1. Total difference in swab weight x 0.5
2. Total difference in swab weight x 1.5
3. Total difference in swab weight x 2.5
4. None of the above

Correct answer: 2. Total difference in swab weight x 1.5

Explanation: Rains factor Total amount of blood loss = Total difference in swab weight x 1.5 Or Total difference in swab weight x 2 (for larger wounds or operations ) Ref : Srb's manual of surgery p/ 120